Which form of calcium is deposited in Band shaped keratopathy
1. Calcium chloride
2. Calcium hydroxyapatite
3. Calcium cyanide
4. Sodium Hydroxyapatite

Correct answer: 2. Calcium hydroxyapatite

Explanation: Band Shaped Keratopathy *Calcium phosphate/ Calcium hydroxyapatite *Deposition in Bowman's membrane or conditions a/w hyperkalemia such as Hyperparathyroidism, renal failure, hypophospahatasia, Sarcoidosis, Pagets disease *Rx: EDTA,Lamellar Keratoplasty, PTK Band Shaped Keratopathy causes